Which of the following is seen in association with membrane raft
1. Mannose binding protein
2. GTP associated receptor
3. GPI anchored protein
4. G-coupled receptor

Correct answer: 3. GPI anchored protein

Explanation: Ans. c. GPI anchored protein